The atachment site of DNA dependent RNA polymerase to a gene is the -
1. Operator
2. Promoter
3. Structural gene
4. Regulatory gene

Correct answer: 2. Promoter

Explanation: B i.e. Promoter